Major contribution to plasma osmolality is by which ion:
1. Sodium
2. Potassium
3. Glucose
4. Calcium

Correct answer: 1. Sodium

Explanation: Ans. A: Sodium All but about 20 of the 290 mosm in each liter of normal plasma are contributed by Na+ and its accompanying anions, principally Cl- and HCO3-. Other cations and anions make a relatively small contribution. Although the concentration of the plasma proteins is large when expressed in grams per liter, they normally contribute less than 2 mosm/ L because of their very high molecular weights. The major nonelectrolytes of plasma are glucose and urea, which in the steady state are in equilibrium with cells. Their contributions to osmolality are normally about 5 mosm/L each but can become quite large in hyperglycemia or uremia. The total plasma osmolality is important in assessing dehydration, overhydration, and other fluid and electrolyte abnormalities. Hyperosmolality can cause coma (hyperosmolar coma).